The following is true of Robert's pelvis :
1. Triradiate pelvis
2. Single ala absent
3. Both alae absent
4. Wide pelvic brim

Correct answer: 3. Both alae absent

Explanation: Both alae absent